Uterus develops from-
1. Mullerian duct
2. Wolfian duct
3. Both
4. None

Correct answer: 1. Mullerian duct

Explanation: A i.e. Mullerian duct